A 37-year-old immunosuppressed patient with renal failure develops sepsis. Which of the following antibiotics, if used, would require a major reduction in dosage?
1. erythromycin
2. doxycycline
3. tobramycin
4. isoniazid (INH)

Correct answer: 3. tobramycin

Explanation: Amikacin and vancomycin are the other antibiotics that require dose reduction in renal failure. Newer antibiotics are often used instead of aminoglycosides to reduce the risk of renal damage.